Deficiency of which element can lead to syndrome of growth failure, anemia and hypogonadism?
1. Calcium
2. Copper
3. Zinc
4. Magnesium

Correct answer: 3. Zinc

Explanation: Deficiency of zinc can lead to syndrome of growth failure, anemia and hypogonadism.